Which of the following is the drug of choice for antibiotic associated pseudomembranous enterocolitis?
1. Linezolid
2. Oral vancomycin
3. Ciprofloxacin
4. Clindamycin

Correct answer: 2. Oral vancomycin